A sesamoid bone is present in the tendon of which of the following muscles?
1. Flexor hallucis longus.
2. Extensor hallucis brevis.
3. Adductor hallucis
4. Flexor hallucis brevis

Correct answer: 4. Flexor hallucis brevis

Explanation: Sesamoids are found in locations where a tendon passes over a joint, such as the hand, knee, and foot. In the foot, the first metatarsal bone usually has two sesamoid bones at its connection to the big toe (both within the tendon of flexor hallucis brevis).In the knee - The patella (within the quadriceps tendon). In the hand - Two sesamoid bones are commonly found in the distal portions of the first metacarpal bone (within the tendons of adductor pollicis and flexor pollicis brevis). In the wrist - The pisiform of the wrist is a sesamoid bone (within the tendon of flexor carpi ulnaris).